A 66-year-old driver suffers a stroke while driving on highway. He has a history of hypertension, is a heavy smoker, and drinks beer every weekend A right upper motor neuron paralysis of the facial nerve is noted; the other cranial nerves are normal. He has a hemiplegia on the right side, with equal paralysis of the arm and leg. His lesion most likely involves the:
1. Left internal capsule
2. Left Mid brain
3. Left Pons
4. Left Medulla

Correct answer: 1. Left internal capsule

Explanation: Left Internal Capsule